Otolith organs are responsible for?
1. Producing the vestibular-ocular reflex
2. Detecting the position of the head in space
3. Producing rotary nystagmus
4. Detecting angular acceleration

Correct answer: 2. Detecting the position of the head in space

Explanation: The otolith organs provide information about the position of the head with respect to gravity. When the head is bent away from its normal upright position, otoliths (small calcium carbonate crystals within the utricle and saccule are pulled downward by gravity. The crystals bend the stereocilia on the hair cells, causing the hair cells to depolarize. Depolarization of the hair cells stimulates the vestibular iterse fibers. Bending the head in different directions causes different otoliths to move. Therefore, the particular group of vestibular nerve fibers that is stimulated signals the direction in which the head bends.